Which of the following is not true about hepatojugular reflex -
1. Seen in pulmonary stenosis
2. Associated with decreased afterload
3. Seen in tricuspid regurgitation
4. May indicate right heart failure

Correct answer: 2. Associated with decreased afterload

Explanation: Abdomino jugular reflex : On compression of mid abdomen for 10sec, if JVP remains increased for >3cm even after release of compression for >15sec. Seen mainly in impending right ventricular failure Ref: Harrison's 20th Ed